Reverse Coarctation is seen in
1. Giant cell arteritis
2. Takayasu arteritis
3. Polyarteritis nodosa
4. Microscopic polyangitis

Correct answer: 2. Takayasu arteritis

Explanation: Reverse Coarctation ;weak or absent pulse in upper limb + pulse present in lower limb.